Hexose sugar is not present in:
1. Ribose
2. Glucose
3. Fructose
4. Galactose

Correct answer: 1. Ribose

Explanation: Hexose sugar is present in:Glucose, "blood sugar", the immediate source of energy for cellular respirationGalactose, a sugar in milk (and yogu), andFructose, a sugar found in honeyRibose is a pentose sugar